Baby with left sided abdominal mass differential diagnosis
1. Splenic flexure
2. Spleen
3. Left kidney
4. All of above

Correct answer: 4. All of above

Explanation: Splenic flexure,spleen ,left kidney all the above mentioned are left sided structures. Reference: GHAI Essential pediatrics, 8th edition